Keratosis obturans is -
1. Foreign body in external auditory canal
2. Desquamated epithelial cell + Cholesterol
3. Cholesterol crystals surrounded by calcium
4. Wax in external auditory canal

Correct answer: 2. Desquamated epithelial cell + Cholesterol